Base metal alloys are useful for
1. Cast partial dentures
2. Crowns
3. Orthodontic wires
4. all of the above

Correct answer: 4. all of the above